Hypercarbia is characterized by :
1. Miosis
2. Cool extremities
3. Bradycardia
4. Hypertension

Correct answer: 4. Hypertension

Explanation: Ans. is 'd' i.e. hypertension Hypercarbia causes:1. Tachycardia and increased C.O., due to direct effect of C02 on the heart and reflex sympathetic stimulation.Hypertension, because central sympathetic overactivity causes peripheral vasoconstriction.Mydriasis (Although mydriasis is not mentioned directly, but in hypercarbia there in sympathetic activation with a rise of circulating catacholamines which will cause pupillary dilatation)No ideas about the extremities.